The commonest systemic abnormality associated with renal cell carcinoma Is -
1. Hypertension
2. Polycythemia
3. Elevated ESR
4. Pyrexia

Correct answer: 3. Elevated ESR

Explanation: The preoperative erythrocyte sedimentation rate is an independent prognostic factor in renal cell carcinoma. An elevated erythrocyte sedimentation rate (ESR) reportedly has been associated with a poor prognosis among patients with RCC, but the ESR is not incorporated into existing nomograms Ref Harrison20th edition pg 288